The function of plasma cell:
1. CMI
2. Phagocytosis
3. Opsonisation
4. Antibody formation

Correct answer: 4. Antibody formation